Gilletes's space indicates which of the following?
1. Prevertebral space
2. Paravertebral space
3. Retropharyngeal space
4. Perotinsillar space

Correct answer: 3. Retropharyngeal space

Explanation: The buccopharyngeal fascia, which closely invests the Constrictor muscles of the pharynx, is continued forward from the Constrictor pharyngis superior on to the Buccinator. It is attached to the prevertebral layer by loose connective tissue only, and thus an easily distended space, the retropharyngeal space, is found between them. Retropharyngeal space, extends from the base of the skull of the bifurcation of trachea. Space is divided into two lateral compartments (space of Gillette) by a fibrous raphe. Each lateral space contains retropharyngeal nodes which usually disappear after 4-5 years of age. As the retropharyngeal space communicates with the parapharyngeal space and the posterior mediastinum, infection can spread to these areas. Prevertebral space lies between the vertebral bodies posteriorly and the prevertebral fascia anteriorly Ref: Anatomy of the Human Body, Henry Gray.